Auditory fatigue occurs at ?
1. 50 dB
2. 60 dB
3. 80 dB
4. 90 dB

Correct answer: 4. 90 dB

Explanation: Ans. is 'd' i.e., 90 dB Auditory effects of noice A uditoryfatigue- 90 dB and 4000 Hz. Deafness Temporary - 4000 to 6000 Hz Repeated prolonged exposure to 100 dB Permanent Single exposure to 160 dB (due to rupture of ear drum)